In a DNA molecule adenine always forms a linkage with
1. Guanine
2. Cytosine
3. Thymine
4. Uracil

Correct answer: 3. Thymine